Following injury to blood vessels , immediate haemostasis is achieved by which of the following
1. Fibrin deposition
2. Vasoconstriction
3. Platelets adhesion
4. Thrombosis

Correct answer: 2. Vasoconstriction

Explanation: ref Robbins 8/e p115 Vascular spasm (Vasoconstriction) -Vasoconstriction is produced by vascular smooth muscle cells, and is the blood vessel's first response to injury. ... When a blood vessel is damaged, there is an immediate reflex, initiated by local sympathetic pain receptors, which helps promote vasoconstriction